All the following arteries are involved in Cruciate Anastomosis except
1. Inferior Gluteal Artery
2. Medial Circumflex Femoral Artery
3. Lateral Circumflex Femoral Artery
4. Superior Gluteal Artery

Correct answer: 4. Superior Gluteal Artery

Explanation: Cruciate Anastomosis:This anastomosis is situated over the upper part of the back of the femur at the level of the middle of the lesser trochanter.It is formed (1) from above by the anastomotic branch of the inferior gluteal artery, (2) from below by the ascending branch of the first perforating artery, (3) medially by the transverse branch of the medial circumflex femoral artery, and (4) laterally by the transverse branch of the lateral circumflex femoral artery. This anastomosis is a connection between the internal iliac and femoral arteries.Reference: Chaurasia Volume II; 6th edition; Page no: 79